Seminoma is carcinoma of:
1. Kidney
2. Urinary bladder
3. Testes
4. Penis

Correct answer: 3. Testes

Explanation: Ans. C: Testes